The commonest Primary immunodeficiency is -
1. Common variable immunodeficiency
2. Isolated IgA immunodeficiency
3. Wiskott-Aldrich syndrome
4. AIDS

Correct answer: 2. Isolated IgA immunodeficiency

Explanation: Selective immunoglobulin A (IgA) deficiency (SIgAD) is a genetic immunodeficiency, a type of hypogammaglobulinemia. People with this deficiency lack immunoglobulin A (IgA), a type of antibody that protects against infections of the mucous membranes lining the mouth, airways, and digestive tract. It is defined as an undetectable serum IgA level in the presence of normal serum levels of IgG and IgM, in persons older than 4 years. It is the most common of the primary antibody deficiencies. Most such persons remain healthy throughout their lives and are never diagnosed.